True about Barrett's esophagus is?
1. Squamous metaplasia
2. Columnar metaplasia
3. irreversible
4. Cancerous

Correct answer: 2. Columnar metaplasia

Explanation: Barrett Esophagus Barrett esophagus is a complication of chronic GERD that is characterized by intestinal metaplasia within the esophageal squamous mucosa. TEXT BOOK OF ROBBINS BASIC PATHOLOGY NINTH EDITION PAGE.561 IMAGE REF: